Who said these words : To study the phenomenon of disease without books is to sail an uncharted sea, while to study books without patients is not to go to sea at all -
1. Hamilton Bailey
2. Sir Robert Hutchison
3. Sir William Osler
4. J.B. Murphy

Correct answer: 3. Sir William Osler

Explanation: Ans. is 'c' i.e., Sir William Osler